Scalds are produced by
1. Dry heat
2. Moist heat
3. Severe burns
4. All

Correct answer: 2. Moist heat

Explanation: 118. Ans. b (Moist heat) (Ref. Parikh, FMT, 5th ed. 343)SCALD# A scald is an injury resulting from moist heat or from application of liquid at or near boiling point.# Only superficial layers of skin are affected.# Skin becomes swollen and bleached.# Blister formation may be a important feature.ELECTRIC BURNS# Low voltage (<1000 V) such as from a domestic supply (240 V, 50 Hz) causes significant contact wounds and may induce cardiac arrest, but no deep tissue damage.# Hlghvoltage burns (>1000 V) cause damage by two mechanisms: flash and current transmission.